2 month old infant is presented with failure to thrive,recurrent emesis, hepatospleomegaly and adrenal insufficiency, Adrenal calcification is noted radio logically, What is the most probable diagnosis?
1. Pneochromocytoma
2. Addison disease
3. Wolman disease
4. Adrenal disease

Correct answer: 3. Wolman disease

Explanation: Wolman disease is lipid disorder caused by deficiency of lysosomal acid lipase.
Presents with above clinical feature.